Vine leaf colonies are seen in:
1. Clostridium perfringens
2. Escherichia coli
3. Pseudomonas aeruginosa
4. Enterobacter cloacae

Correct answer: 1. Clostridium perfringens

Explanation: CULTURAL CHARACTERISTICS OF Clostridium perfringens: Rabbit sheep & human blood agar are used and on further incubation show TARGET HEMOLYSIS . This occurs due to the following toxins: Theta toxin - narrow zone - complete hemolysis Alpha toxin - wider zone - in complete hemolysis Double zone fades on prolonged incubation. Surface colonies are large, smooth, regular, convex, slightly opaque discs. Other types of colonies include one with a raised opaque centre and a flat radially striate transparent border. Rough flat colonies with an irregular edge-"VINE LEAF". A variant occasionally produces very mucoid broth cultures and tenacious colonies on blood agar. Ref: Koneman's Color Atlas & Textbook of Diagnostic Microbiology, 6th edition